Which of the following is the treatment of choice for patients with schizophrenia, who refuse to take treatment:
1. Clozapine
2. Thioridazine
3. Olanzapine
4. Fluphenazine

Correct answer: 4. Fluphenazine